Low calcium and high phosphate is seen in -
1. Hyperparathyroidism
2. Hypoparathyroidism
3. Hyperthyroidism
4. Hypothyroidism

Correct answer: 2. Hypoparathyroidism

Explanation: Ans is option 2 Hypoparathyroidism In hypoparathyroidism there is decreased PTH which leads to decreased activation of osteoclasts in bone which leads to decreased Ca++ In kidney Decreased PTH leads to decreased Ca++ reabsorption and increased reabsorption of phosphate Which leads to low Ca level and high phosphate level Ref Harrison 17/e p2391